Part II of death certificate contains-
1. Manner of death
2. Immediate cause of death
3. Antecedant cause of death
4. Associated comorbid condition of death

Correct answer: 4. Associated comorbid condition of death

Explanation: Ans. is 'd' i.e., Associated comorbid condition of death Death Certificateo Following information is to be filled in the relevant columns of the death certificate :-Ia - Immediate causeIb - Antecedent causeIc - Antecedent causeII - Other significant condition contributing to the death but not related to the disease or condition causing it